Internal sphincterotomy is the treatment of choice for:
1. Piles
2. Fissure in ano
3. Fistula
4. Carcinoma

Correct answer: 2. Fissure in ano

Explanation: Ans. (b) Fissure in anoRef: Bailey 26th edition Page 1248* Lateral sphincterotomy of Notaras is done for fissure in ano.* Internal sphincter is laterally cut.